Dose of I.V. adrenaline in term infant during neonatal resuscitation:
1. 0.1-0.3ml/kg of 1:1000
2. 0.3-0.5 mI/kg of 1:1000
3. 0.1-0.3 mI/kg of 1:10,000
4. 0.3-0.5mI/kg of 1:10,000

Correct answer: 3. 0.1-0.3 mI/kg of 1:10,000

Explanation: Epinephrine- 0.1-0.3 ml/kg of 1:10,000 concentration administered through IV route/ umbilical vein.